Toxin production by conjnebacterium diphtheriae is due to ?
1. Chromosomal mutation
2. Presence of plasmid
3. Lysogenic conversion
4. Transformation

Correct answer: 3. Lysogenic conversion

Explanation: Ans. is 'c' i.e., Lysogenic conversion . The toxigenicity of the diphtheria bacilli depends on the presence in it of corynephages (tox +). Nontoxigenic strains may be rendered toxigenic by infecting them with beta phage or some other larger phage. This is known as lysogenic conversion or phage conversion.